Fever persisting even after treatment of pneumonia likely diagnosis is :
1. Empyema
2. Fungal lesion
3. Carcinoma bronchus
4. Any of the above

Correct answer: 4. Any of the above

Explanation: Answer is D (Any of the above): Fever persisting even after treatment of pneumonia indicates treatment failure. All of the options mentioned should be considered when a patient with pneumonia fail to improve despite treatment. Possibilities to consider when a patient with Community-Acquired Pneumonia fails to improve despite treatment Reconsider the diagnosis. Is this another illness presentinga pneumonia? Collagen vascular diseases involving the lung are frequently diagnosed at first as pneumonia. 2. Are you treating the wrong pathogen? For example, if you are treating conventional bacterial causes of pneumonia, is this case actually due to Mycobacterium tuberculosis, Pneumocystis, or another fungus? Are you treating the right pathogen with the wrong drug? For example, if you are using nafcillin or claxacillin to treat Staphyloccos aureas and your patient is infected with methicillin resistant S. aureus you should be using vancomycin or linezolid. Is there a mechanical reason for the patient's failure to improve (e.g. obstructed bronchus due to carcinoma or seqestation of a segment of lung? Have you over looked an undrained or metastatic pyogenic focus(e.g.empyema, brain abscess, endocarditis, splenic, abscess, osteomyelitis? Does the patient have drug associated fever?